Not a feature of TOF -
1. Boot shaped heart
2. Patent foramenovale
3. VSD
4. RVH

Correct answer: 2. Patent foramenovale

Explanation: Ans. is 'b' i.e., Patent foramen ovaleTetrology of fallot# Cyanotic heart disease (MC)Defect in infundibular septum leads to :Pulmonary' stenosisVSD (Not ASD)Dextroposition and overriding of aorta.Right ventticular hypertrophy (NOT LVH).Pink TOF (Acyanotic TOF) when PS is mild to moderate balanced shunt tnt across the VSD, pt nothave cyanosis.Plain film"Boot shaped" heart with an upturned cardiac apex due to right ventricular hypertrophy and concave pulmonary? arterial segment.Pulmonary oligaemia due to decreased pulmonary' arterial flow.